Embalming fluid contains all except ?
1. Formaldehyde
2. Phenol
3. Sodium oxalate
4. Ethanol

Correct answer: 4. Ethanol

Explanation: Ans. is 'd' i.e., Ethanol Formaline and methanol or methyl alcohol (as preservatives), glycerine (wetting agent), phenol (germicide) are essential components of embalming (arterial and cavity) fluids.